Wegner's granulomatosis-
1. Involve lung
2. Involve nose
3. Involve kidney
4. All

Correct answer: 4. All

Explanation: Ans. is 'a' i.e., Involve lung; 'b' i.e., Involve nose; 'c' i.e., Involve kidneyLung, kidney and nose are involved in Wegner's graulomatosis (see previous explanations)Treatment of wegner's granulomatosiso Cyclophasphamide along with glucocorticoids is the treatment of choice.o For selected patients whose disease is not immediately life threatening or in those patients who have experienced significant cyclophosphamide toxicity, methotrexate together with glucocorticoids may be considered as an alternative.